Spider leg sign on IVP suggests?
1. Renal stone
2. Polycystic kidney
3. Hypernephroma
4. Hydronephrosis

Correct answer: 2. Polycystic kidney

Explanation: Ans. (b) Polycystic kidneyAlso Know* Driven snow appearance - Pindborg s tumor* Sunray appearance - Osteogenic Sarcoma , Ewing Sarcoma* Floating Water Lily sign - Lung Hydatid , Echinococcus* Popcorn calcification - Pulmonary Hamartoma * Honeycomb appearance - RA , Scleroderma , Interstitial Lung Disease* Egg shell calcification - Sarcoidosis , Silicosis , Lymphoma , T.B., Histoplasmosis* Spring water cyst = Pluero Pericardial cyst* Rib notching - Neurofibromatosis , Aortic Aneurysm, Taussig-Bing Operation , Aortic obstruction , Coarctation of aorta.* Coeur en Sabot, Flask shape heart - TOF* Candle wax sign -Melorheostosis* Football Sign - Pneumoperitoneum* Snowman Sign - TAPVC ( Total Anomalous Pulmonary Venous Connection)* Figure of 8 in CXR - TAPVC* Egg on side - Uncorrected TGV* Thumb Print Sign - Epiglotis , Ischemic Colitis I* Double bubble sign - Duodenal Atresia* Single bubble sign - Pyloric stenosis* Soap bubble appearance - Meconium ileus* Meniscus appearance - CBD stone on cholangiography* Central dot sign - Caroli s disease* Chain of lakes appearance - Chronic pancreatitis* Spongy appearance with central sunburst calcification sign - serous cyst adenoma* Rim sign in IVP - Hydronephrosis* Cobra head deformity - Ureterocele* B/L spider leg sign - Polycystic Kidney* Golf hole ureter - T.B.* Flower Vase pattern of pelvis in IVP - Horse shoe kidney